Extended-spectrum beta-lactamases (ESBLs) are characterized by activity against all except :
1. Penicillinases
2. Cephalosporinases
3. Oxyimino–cephalosporinases
4. Carbapenems

Correct answer: 4. Carbapenems

Explanation: Carbapenems like imipenem are the only beta-lactams reliably efficacious against ESBL producing bacteria.